Numerator in negative predictive value ?
1. True positive
2. False positive
3. True negative
4. False negative

Correct answer: 3. True negative

Explanation: Ans. is 'c' i.e., True negative